In an adult, Unilateral smooth contracted kidney with hypertension is seen in -
1. Stenosis of renal artery
2. Chronic GN
3. Renal cell Ca
4. Pyelonephritis

Correct answer: 1. Stenosis of renal artery